Which method is used for destroying useless hospital waste products?
1. Hot air oven
2. Incineration
3. Autoclave
4. Heat sterilization

Correct answer: 2. Incineration

Explanation: Ans: b (Incineration) Ref: Ananthanarayan, 7th ed, p. 25; Park, 18th ed, p. 599Incineration is an excellent method of safely destroying materials such as contaminated cloth, animal carcasses and pathological materials.Categorization of biomedical waste and its disposal:Cat IHuman anatomical wasteIncinerationCat IIAnimal wasteIncinerationCat IIIMicrobiology and biotech wasteAutoclaving / incinerationCat IVWaste sharps (needle, syringe etc)Disinfection (autoclaving)Cat VDiscarded medicines and cytotoxic drugsIncineration and disposal in secured land fillCat VISolid waste contaminated with blood and fluidIncinerationCat VIISolid waste (tubings, catheters, iv sets)AutoclavingCat VIIILiquid wasteDisinfection by chemical treatmentCat IXIncineration ashDisposal in land fillCat XChemicals used in biologicals and disinfectionDisposal in secured land fill Colour coding:Cat 1,2,3,6-Yellow -- IncinerationCat 3, 6, 7-Red- AutoclavingCat 4,7-Blue/ white- AutoclavingCat 5, 9, 10-Black- Secured land fill